All the following are the uses of PGElexcept -
1. Erectile dysfunction
2. Induction of labor
3. Induction of puberty
4. PDA

Correct answer: 3. Induction of puberty

Explanation: Ans. is 'c' i.e., Induction of puberty